Multidrug-resistant S. typhi ) are resistant to all except-
1. Chloramphenicol
2. Ampicillin
3. Ciprofloxacin
4. Septran

Correct answer: 3. Ciprofloxacin

Explanation: Isolates of S. typhi resistant to chloramphenicol, ampicillin, and co-trimoxazole designated as multidrug-resistant S. typhi . Ciprofloxacin became drug of choice for typhoid fever in patients of all age groups, infected or likely to be infected with fully drug susceptible S. typhi or MDR-ST. Alternative : Third-generation cephalosporins (cefixime for 7 to 14 days or ceftriaxone for 10 to 14 days) and azithromycin (for 7 days).